Drug used in treatment of carcinoma thyroid is -
1. Doxorubicin
2. 5-Flurouracil
3. Methotrexate
4. Vinblastine

Correct answer: 1. Doxorubicin

Explanation: Ans. is 'a' i.e., Doxorubicin Antineoplastic agents used in the treatment of carcinoma of thyroid gland. a) Doxorubicin c) Bleomycin b) Cisplatin d) Melphalan